Drug that does not cause dependence:
1. LSD
2. Cannabis
3. Benzodiazepine
4. Opioids

Correct answer: 1. LSD

Explanation: Ans. LSD